Anti inflammatory action of cortisol is due to?
1. Effect on lymphocytes
2. Effect on cytokines
3. Effect on enzymes
4. All of the above

Correct answer: 4. All of the above

Explanation: Ans. is 'd' i.e., All of the above